Sustained diarrhoea can lead to
1. Metabolic Acidosis
2. Metabolic Alkalosis
3. Respiratory Alkalosis
4. Respiratory Acidosis

Correct answer: 1. Metabolic Acidosis